Which of these is a parametric test
1. T-Test
2. Wilcoxon signed rank Test
3. Mann-Whitney U Test
4. Chi-Square Test

Correct answer: 1. T-Test